All are sites of insulin administration except?
1. Dorsum of hands
2. Arms
3. Lateral aspect of thigh
4. Around umbilicus

Correct answer: 1. Dorsum of hands

Explanation: The preferred sites for insulin administration are: Abdomen Anterolateral aspect of thigh Dorsal Arm The route of administration is subcutaneous and abdominal wall has substantial subcutaneous fat. The site of injection can be rotated to prevent local site scarring. The rate of absorption from abdominal wall is fastest.